Comet tail artefact in USG is seen in
1. Adenomyomatosis
2. Cholesterosis
3. Porcelain gall bladder
4. Acute cholecystitis

Correct answer: 1. Adenomyomatosis

Explanation: Comet tail artefact is a special finding in Adenomyomatosis.